Active resorption of sodium ion occurs in:
1. Ascending loop of henle
2. Early distal tubule
3. Proximal tubule
4. All of the above

Correct answer: 4. All of the above

Explanation: Ans. D: All of the above About 65% of the filtered electrolytes are absorbed in PCT actively Thin ascending loop of Henle: Passive diffusion of sodium Thick ascending loop of Henle: Active transportation of sodium Early distal tubule: Similar properties as that of thick ascending loop of Henle